Antihypertensive of choice in a patient of diabetes mellitus with proteinuria is -
1. Enalapril
2. Propanolol
3. Hydralazine
4. Minoxidil

Correct answer: 1. Enalapril

Explanation: Ans. is 'a' i.e., Enalapril